Recurrent epistaxis in a 15-year-old female the probable cause is:
1. Juvenile nasopharyngeal fibroma
2. Rhinosporidiosis
3. Foreign body
4. Haematological disorder

Correct answer: 4. Haematological disorder

Explanation: (d) Haematological disorder(Ref. Cummings, 6th ed., 680)Juvenile nasopharyngeal fibroma is seen typically in adolescent males.In Rhinosporidiosis there is nasal obstruction along with epistaxis and a history of taking bath in ponds frequented by animals is present.Foreign body is not seen at this age.So the probable cause here is haematological disorder. In this regard the patient should be asked regarding bleeding from any other site also.Characteristically haematological disorders present with bleeding from multiple sites.